Polar bodies are formed during -
1. Spermatogenesis
2. Organogenesis
3. Oogenesis
4. Morphogenesis

Correct answer: 3. Oogenesis

Explanation: Ans. is 'c' i.e., Oogenesis o Polar bodies are formed during oogenesis : 1st during first meiotic division just before ovulation and 2nd during second meiotic division at the time of fertilization.This question is also direct repeat from A1-06.